Bad prognostic factors in Lupus Nephritis -
1. Anti-ds DNA
2. Hypocomplementemia
3. Persistent proteinuria (>3gm/day)
4. All of the above

Correct answer: 4. All of the above